Cancellous bone graft taken from:
1. Femoral condyles
2. Pelvis
3. Greater trochanter
4. All of the above

Correct answer: 4. All of the above

Explanation: A i.e. Femoral condyle; B i.e. Pelvis C i.e. Greater trochanter